NARP syndrome is a part of which of the following group of disorders?
1. Mitochondrial diseases
2. Glycogen storage diseases
3. Lysosomal storage diseases
4. Lipid storage diseases

Correct answer: 1. Mitochondrial diseases

Explanation: NARP syndrome Neuropathy, ataxia, and retinitis pigmentosa Related to changes in mitochondrial DNA. Mutations in the MT-ATP6 gene cause NARP syndrome. This gene is located within mitochondrial DNA (mtDNA).